A 23 year old engineering student is brought by his family to he hospital with history of gradual onset of suspiciousness, muttering and smiling without clear reason, decreased socialization, violent outbursts, and lack of interest in studies for 8 months. Mental status examination revealed a blunt affect, thought broadcast, a relatively preserved cognition, impaired judgment and insight. He is most likely to be suffering from
1. Delusional disorder
2. Depression
3. Schizophrenia
4. Anxiety disorder

Correct answer: 3. Schizophrenia

Explanation: C i.e. SchizophreniaNon bizarre delusionsQ (i.e. involving situations that occur in real life such as being followed, infected, loved at distance or deceived by spouse or having disease or being persecuted) of atleast one month duration.Criteria A for schizophrenia has never been met.Apart from delusional area, the personality, behaviour & functioning is not markedly impaired (almost normal).Mood disturbance (if occur) are brief in duration as compared to delusional periods.